Which of the following adaptations will be apt to increase the work capacity at high altitude
1. Increasing workload, decreasing duration of exercise
2. Increasing workload, increasing duration of exercise
3. Decreasing workload, increasing duration of exercise
4. Decreasing workload, decreasing duration of exercise

Correct answer: 3. Decreasing workload, increasing duration of exercise

Explanation: If we increase the workload, more oxygen will be required. At high altitudes oxygen is low. So we need to decrease the workload. At the same time, to increase the work capacity, we need to increase the duration of exercise without increasing the load.